Most common type of carcinoma breast in males is-
1. Ductal carcinoma in situ
2. Lobular carcinoma in situ
3. Infiltrating ductal carcinoma
4. Infiltrating lobular carcinoma

Correct answer: 3. Infiltrating ductal carcinoma

Explanation: Ans. is 'c' i.e., Infiltrating ductal carcinoma * Carcinoma of the male breast accounts for less than 0.5% of all cases of breast cancer. * The known predisposing causes include gynecomastia and excess endogenous or exogenous estrogen. * It tends to present as a lump and is most commonly an infiltrating ductal carcinoma. * It usually presents as a unilateral lump in the breast and is frequently not diagnosed promptly. FEMALE BREAST CARCINOMA AND RELATED ONE LINERS = Most common histological subtype- IDC, NOS Most common molecular subtype- Luminal A The histological subtype with the best prognosis- Tubular > Mucinous The molecular subtype with the best prognosis- Luminal A Most common genetic mutation- p53 Most common familial genetic mutation- BRCA1 Highest susceptibility is seen with which mutation BRCA1 Association of male breast cancer, prostate cancer, pancreatic cancer, melanoma and gastric cancer- BRCA2 Association of ovarian cancer (serous)- BRCA1> BRCA2 The most common molecular group associated with BRCA1- Basal The most common molecular group associated with BRCA2- Luminal B Most important prognostic marker- Lymph node status Most important prognostic marker for metastatic cancer- ER/PR status Anti PD1 and PDL1 antibodies are under investigation for use as immune therapy in triple negative breast cancers